The phenomenon of conception of a woman due to deposition of semen on vulva without vaginal penetration is called as
1. Superfoetation
2. Superfecundation
3. Fecundation ab extra
4. Vaginismus

Correct answer: 3. Fecundation ab extra

Explanation: FECUNDATION AB EXTRA: The conception of the female due to deposition of semen on the vulva, without penetration of the vagina - The insemination occurs due to the passage of spermatozoa from external genitalia to the uterus. Ref - Krishnan Vij 5th edition pg 395 , 404